Wrinkled paper appearance of macrophage in bone marrow aspirate is seen in:
1. Niemann Pick disease
2. Gaucher disease
3. Hemophagocytic lymphohistiocytosis
4. Langerhan cell histiocytosis

Correct answer: 2. Gaucher disease

Explanation: b. Gaucher disease(Ref: Nelson's 20/e p 708-712, Ghai 8/e p 659-664)Gaucher cells are Lipid Laden Macrophages have a characteristic histologic appearance of "wrinkled tissue paper"Membrane-bound inclusions filled with glucocerebroside are seen with electron microscopy.